The 9 month old child of a diabetic mother presents with tachypnea and hepatomegaly. Echo cardloKraphy of the heart showed normal cardiac morphology with asymmetric septal hypertrophy. Which of the following you will give to treat this child -
1. Digoxin
2. Frusemlde
3. Propanolol
4. tsoptin

Correct answer: 3. Propanolol

Explanation: Ref:Harrison's 19th ERT pg 1568 It is most commonly a case of HOCM. Drugs that reduce the contractility (Beta-blockers) are the drug of choice. They decrease the contractility of heart, and prevents the hypertrophied septum in coming in close proximity with the anterior leaflet of the mitral Valve.